An 8 week infant can do all the following except:
1. Head control
2. Lift it's head upto horizontal line in ventral suspension.
3. Follows red object upto 180 degrees.
4. Social smile.

Correct answer: 1. Head control

Explanation: Head control :3 months Lift it's head upto horizontal line in ventral suspension: 2 months Follows red object upto 180 degrees: 2 months Social smile: 2 months. Ref: Ghai 9 th edition, page 41 to 48.